The Spinnbarkeit of cervical mucous in a woman is maximum at one of the following phases of the cycle :
1. Early proliferative
2. Ovulatory phase
3. Post-ovulatory phase
4. Menstrual phase

Correct answer: 2. Ovulatory phase

Explanation: Ovulatory phaseSpinnbarkeit (Egg White) Cervical Mucus:Most feileStringy, stretchy Usually a result of high estrogen levels.Allows the sperm to swim easily into the cervixSimilar to raw egg white consistencyStretchable--Mucus can hold a stretch which can be up to 4 or 5 inchesAt the time of ovulation, you have 2 or 3 days of egg white cervical mucus and then your temperature will take a little dip before rising the next day. Watery Cervical MucusSecond best for conceptionAllows sperm to move into the cervix, but not as easy for the sperm to swimWatery CM is clear in color and drips or runs off your fingers. Creamy Cervical MucusConsidered non-feile since it greatly restricts the movement of sperm.Often pearly white or creamy yellow.Thick and feels like lotion when rubbed between the fingers. Sticky Cervical MucusLeast feileThick and chunky and feels kind of like paste or like glue from a glue stick, making it hard for sperm to swim through